Early warning signs of Cancer that public should be aware of include all except
1. Persistent cough
2. Lump or hard area in breast
3. Unexplained weight gain
4. Change in Wart/mole

Correct answer: 3. Unexplained weight gain

Explanation: Early warning signs (Danger signals) of cancer Lump/Hard area in breast Change in Wa /mole Persiative change in digestive /bowel habits Persistent cough or hoarseness Excessive loss of blood at monthly period or loss of blood outside usual dates Blood loss from any natural orifice Swelling or sore not getting better Unexplained loss of weight Ref : Park 25th edition Pgno : 404